Regarding opioid induced seizures:
1. They usually occur at therapeutic doses
2. Children are more susceptible
3. Seizures occur only with u-opioid agonists
4. Diazepam is the drug of choice in treatment

Correct answer: 2. Children are more susceptible

Explanation: Controlled-release oxycodone-induced seizures. ... However, opioid-related seizure in patients with epilepsy or other conditions that may decrease seizure threshold has been described in the literature; in particular, oxycodone has been associated with seizure in a patient with acute renal failure Ref KD Tripathi 8th ed,